Renal vein thrombosis is most commonly associated with-
1. Diabetic nephropathy
2. Membranous glomerulopathy
3. Minimal change disease
4. Membrano-proliferative glomerulonephritis

Correct answer: 2. Membranous glomerulopathy